All of the following are tightly bound to component enzymes of pyruvate dehydrogenase, EXCEPT
1. Thiamine pyrophosphate
2. Lipoic acid
3. Flavin adenine dinucleotide
4. Coenzyme A

Correct answer: 4. Coenzyme A